Long acting insulin is:
1. Lente
2. Semilente
3. Ultralente
4. Lispro insulin

Correct answer: 3. Ultralente